Preferred treatment for type III Mirizzi's syndrome is:
1. Partial cholecystectomy
2. Partial cholecystectomy with choledochoplasty
3. Total cholecystectomy
4. Bilioenteric anastomosis

Correct answer: 2. Partial cholecystectomy with choledochoplasty

Explanation: Mirizzi's syndrome / functional hepatic syndrome: external compression of common hepatic duct by inflammatory tissue in the pericholecystic region; formation of cholecystocholedochal fistula. Types Treatment Type I Partial cholecystectomy Type II & III Partial cholecystectomy (choledochoplasty) + T- tube drainage Type IV & V Bilioenteric anastomosis.